Which is true about Burkitt's lymphoma?
1. CD34 +ve & surface Immunoglobulin +ve
2. CD34 +ve & surface Immunoglobulin -ve
3. CD34 -ve & surface Immunoglobulin -ve
4. CD34 -ve & surface Immunoglobulin +ve

Correct answer: 4. CD34 -ve & surface Immunoglobulin +ve

Explanation: Forms of Burkitt lymphoma: Sporadic and endemic Sporadic type: Presents in the abdomen near the ileocecal valve, in the ovaries, or in the retroperitoneum; 15-20% of sporadic-type Burkitt lymphomas are associated with EBV infection. Endemic type: Commonly presents in the jaw. All endemic-type Burkitt lymphomas are associated with EBV infection. Markers of Burkitt lymphoma: Neoplastic cells are positive for CD10, CD19, CD20, bcl-6, and surface Ig. Ref: Wyatt C., Moos P.J., Brown T.G. (2008). Chapter 12. Hematopathology. In C. Wyatt, P.J. Moos, T.G. Brown (Eds), Pathology: The Big Picture.